To achieve the additional retention, following should be done while tooth preparation:
1. Excessive occlusal preparation
2. Tapered preparation
3. Grooves and boxes
4. Supragingival finish line

Correct answer: 3. Grooves and boxes

Explanation: Proximal grooves or boxes placed in healthy tooth structure are particularly effective in enhancing the resistance form of crown preparations, because these interfere with rotational movement (tipping) of the crown and thereby subject additional areas of the luting agent to compression.
Ref: Stephen Rosenstiel, Martin Land, and Junhei Fujimoto, Contemporary Fixed Prosthodontics 5th Edition page 193